True about measles outbreak ?
1. Occurs if proportion of susceptible children is >20%
2. Infects 50% children in virgin community
3. Vaccination given at 6 months
4. Every 6-7 years

Correct answer: 3. Vaccination given at 6 months

Explanation: Ans. is 'c' i.e., Vaccination given at 6 months Epidemic of measles occur if proportion of susceptible children is > 40%. If measles is introduced in a virgin community, it infects > 90% of children. Measles vaccine is given at the age of a months, but age can be lowered to 6 months in epidemics. Measles shows a cyclic trend with epidemic every 2-3 years.